False about sternocleidomastoid is
1. Arises from sternum and clavicle
2. Inserts on mastoid process
3. Motor supply by spinal accessory nerve
4. Tilt the head on opposite side

Correct answer: 4. Tilt the head on opposite side

Explanation: Actions of sternocleidomastoid - When one sternocleidomastoid muscle contracts, a) It turn the chin to the opposite side, b) It can also tilt the head towards the shoulder of same side Ref : B D Chaurasia's Human Anatomy , sixth edition, volume 3 , pg. no. 89